True about cystic hygroma -
1. Congenital sequestration of lymphatics
2. Resolves spontaneouly by 5 year of age
3. Common in upper 1/3rd of lateral neck
4. All

Correct answer: 1. Congenital sequestration of lymphatics

Explanation: Answer is 'a' i.e. Congenital sequestration of lymphatics "Bailey writes that spontaneous regression may occur in cystic hygroma but I am not sure whether it occurs by 5 yrs of age".